Angioid streaks in the eyes are seen in –
1. Pseudoxanthoma elasticum
2. Tendinous xanthoma
3. Xanthalasma
4. Eruptive xanthoma

Correct answer: 1. Pseudoxanthoma elasticum

Explanation: Associations of angioid streaks :

Age related degeneration of Bruch's membrane, pseudoxanthoma elasticum, Paget's disease of bone, Ehler's Danlos syndrome, several hemoglobinopathies such as sickle cell anemia.